Naegler's reaction is used for:
1. Cl. Tetani
2. Cl. Botulinum
3. Cl. Perfringens
4. Cl. Septicum

Correct answer: 3. Cl. Perfringens

Explanation: Nagler's reaction Nagler's reaction is an example of Neutralization test done for detection of a toxin (lecithinase) produced by C. perfringens. The alpha toxin of C. perfringens has phospholipase activity , when grown on a medium containing egg yolk phospholipid, the organism can break this insoluble triglyceride. Phosphoryl choline release is seen as an area of opacity around the bacterial colonies. Antitoxin can inhibit a positive Nagler's response.